What is first sign noticed in the eye after death of a person?
1. Corneal haziness
2. Tache noire sclerotica
3. Kevorkian sign
4. None of the above

Correct answer: 3. Kevorkian sign

Explanation: Fragmentation of blood columns in a retinal vessel is called Kevorkian sign. It is the first sign in eye after death of a person.